Diapedesis is -
1. Immigration of leucocytes through the basement membrane
2. Immigration of the leucocytes through the vessel wall to the site of inflammation
3. Aggregation of platelets at the site of bleeding
4. Auto digestion of the cells.

Correct answer: 2. Immigration of the leucocytes through the vessel wall to the site of inflammation

Explanation: Ans. is 'b' i.e., Immigration of the leucocytes through the vessel wall to the site of inflammationo Diapedesis is the process of transmigration of leukocytes across the endothelium. The most important molecule responsible for diapedesis is called PECAM-1 (Platelet endothelial cell adhesion molecule) or CD-31.